MELD score doesn't include
1. INR
2. Serum Bilirubin
3. Serum creatinine
4. Blood urea

Correct answer: 4. Blood urea

Explanation: MELD score (CBI) : Creatinine, Bilirubin, INR PELD score(NABIA) : Nutritional status, Age, Bilirubin, INR, Albumin Ref: Sabiston 20th edition Pgno : 658